Ollier's disease of bone involves ?
1. Osteochondromatosis
2. Metaphyseal dysplasia
3. Multiple enchondromatosis
4. Osteoporosis

Correct answer: 3. Multiple enchondromatosis

Explanation: OLLIER'S DISEASE is also known as DYSCHONDROPLASIA/ENCHONDRMATOSIS. In this disorder, there is defective transformation of physeal cartilage columns into bone. C/F: Typically unilateral;indeed only one limb or even one bone may be involved. Affected limb is short,and if the growth plate is asymmetrically involved the bone grows bent and may present with valgus or varus deformity at the knee and ankle. The fingers or toes frequently contain MULTIPLE ENCHONDROMATA,which are characteristic of the disease. A rare variety of this disease is associated with MULTIPLE HAEMANGIOMA known as MAFUCCI'S DISEASE. Treatment:Bone deformity may need correction,but this should be defered until growth is complete;otherwise it is likely to recur. Ref:Apley's 9th edition page no.165